The following structure is transmitted via foramen ovale
1. Greater petrosal nerve
2. Mandibular nerve
3. Oculomotor nerve
4. Sympathetic nerve fibres

Correct answer: 2. Mandibular nerve